As per 'rule of nine' each lower limb is
1. 9%
2. 18%
3. 27%
4. 36%

Correct answer: 2. 18%

Explanation: Each upper limb is 9% TBSA, Each lower limb 18%, (front 9%, Back 9%)Chest 18% (front 9%, Back 9%)Abdomen 18% (front 9%, Back 9%)The head and neck 9%Perineum 1%Ref: Bailey and love 27e pg: 621